All of the following statements regarding streptokinase are true Except
1. It is a protein produced by streptococci
2. Its complex with plasminogen is inhibited by alpha 2 antiplasmin
3. It may rarely produce anaphylaxis
4. It is initially given as a loading dose

Correct answer: 2. Its complex with plasminogen is inhibited by alpha 2 antiplasmin

Explanation: Streptokinase is a 47-kDa protein produced by beta-hemolytic streptococci. It forms a stable complex with plasminogen, which is not inhibited by antiplasmin. A large loading dose is given intravenously to overcome antibodies that may be formed from prior streptococcal infections. Being a foreign protein it may rarely cause anaphylaxis.